Human placenta is ?
1. Discoid
2. Hemochorial
3. Deciduate
4. All the above

Correct answer: 4. All the above

Explanation: Ans. is 'd' i.e., All the aboveThe human placenta is :Discoid, because of its shape.Hemochorial, because of direct contact of the chorion with the maternal blood andDeciduate, because some maternal tissue is shed at parturition.